Advantage of ergotamine + caffeine ?
1. Decreased renal excretion
2. Increased renal excretion
3. Increased oral absorption
4. Decreased oral absorption

Correct answer: 3. Increased oral absorption

Explanation: Ans. is 'c' i.e., Increased oral absorption Current status of ergotamine as antimigraine drug Because of the erratic oral absorption, frequent side effects, especially nausea and vomiting, and availability of triptans, ergot preparations are rarely used now, except for considerations of cost or when triptans fail. Ergot alkaloids have no prophylactic value: regular use is not justified- may itself produce a dull background headache and an attack may be precipitated on discontinuation. Caffeine 100 mg taken with ergotamine enhances its absorption from oral and rectal routes and adds to the cranial vasoconstricting action.